Drug of choice in intractable hiccoughs is:
1. Metoclopramaide
2. Haloperidol
3. Thioridazine
4. Chlorpromazine

Correct answer: 4. Chlorpromazine

Explanation: Chlorpromazine appears to be the drug of choiceOther agents used are:HaloperidolMetoclopramidePhenytoin, valproic acid, carbamazepine, gabapentinKetamine, lidocaineBaclofenDexamethasoneEdrophoniumAmantadineNifedipineBenzodiazepines to be avoided(ref: KDT 5/e p399, internet)